A child come with fever, cold, cough, membrane over tonsils; nasal swab is taken, culture should be done on which medium for earliest diagnosis -
1. Loffler's serum slop
2. LJ. media
3. MC Conkey's Agar
4. Citrate media

Correct answer: 1. Loffler's serum slop